Best treatment of strawberry angioma is ?
1. Sclerosants
2. Corticosteroids
3. Masterly inactivity
4. Excision

Correct answer: 3. Masterly inactivity

Explanation: Ans. is 'c' i.e., Masterly inactivity